Most important investigation for diagnosis of Zollinger Ellison-syndrome is -
1. Ca++ infusion test
2. Secretin injection test
3. ACTH stimulation test
4. Steroid assay

Correct answer: 2. Secretin injection test